The diffusion capacity of lung is decreased in all except
1. ILD
2. Good pateur syndrome
3. Pneumocystis carinii infection
4. Primary pulmonary hypertension

Correct answer: 2. Good pateur syndrome

Explanation: In alveolar hemorrhage like good Pasteur syndrome DLCO increases.